All of the following are the most commonly used ultrasonographic fetal growth parameters for estimating gestational age of the fetus, EXCEPT:
1. Biparietal diameter
2. Head circumference
3. Transcerebellar diameter
4. Femur length

Correct answer: 3. Transcerebellar diameter

Explanation: Transcerebellar diameter and biorbital diameter are less commonly used measurements used for dating pregnancy between 14-20weeks of gestation. It is used particularly when menstrual dates are unavailable. It becomes less accurate afterwards. Ref: Protocols for High-Risk Pregnancies By John T Queenan, 5th Edition, Page 425 ; Oxford Desk Reference : Obstetrics and Gynaecology By Sarabatnam Arulkumaran, Page 48 ; Diagnostic Imaging of Fetal Anomalies By David A. Nyberg, Page 32-4